All are true about plasma protein binding except:
1. Acidic drugs generally bind to plasma albumin and basic drugs to a, acid glycoprotein
2. Plasma binding determines volume of distribution
3. More plasma protein binding means more storage in liver
4. More plasma protein binding means less penetration in vascular membrane

Correct answer: 3. More plasma protein binding means more storage in liver

Explanation: Ans. C, More plasma protein binding means more storage in liverDrugs which are highly protein bound or ionized remain largely within the vascular compartment and have very low volume of distribution.Acidic drugs generally bind to plasma albumin and basic drugs to a2 acid glycoprotein.Albumin vials a major carrier for acidic drugs.a1-acid glycoprotein blinds basic drugs.Clinically significant implications of plasma protein binding:Binding of a drug to plasma protein also limits the drug's glomerular fiLtration.Drug transport and metabolism also are limited by binding to plasma proteins.Protein bound drug does not cross membranes (except through large paracellular spaces, such as in capillaries) .Tend to have smaller volumes of distribution.Bound fraction of drug in not available for action.Plasma protein binding thus tantamounts to temporary storage of the drug.High degree of protein binding generally makes the drug long acting,